Rodent ulcer is
1. Basal cell cancer
2. Squamous cell ca
3. Rhinophyma
4. Adenocarcinoma

Correct answer: 1. Basal cell cancer

Explanation: Basal cell cancer Aka Rodent ulcer Locally invasive Destruction of surrounding tissues - Aka Tear Cancer Seen in face above the line joining ear lobule to angle or corner of mouth - Arises from Basal layer of epidermis - Most common site - Nose > Inner canthus Types of BCC (based on pathology) - Nodular MC type Classical sign- Central depression with umbilication - Pigmented - Cystic - Superficial Diagnosis - IOC for Dx - Wedge Biopsy Management - Wide Local Excision- If tumor is non-aggressive involving trunk or extremities - MOH'S micrographic surgery- If tumor is aggressive involving vital areas, cosmetic areas and recurrent